In child, foreign body in lung -
1. Rigid bronchoscopy
2. Chest x-ray
3. Flexible endoscopy
4. Direct laryngoscopy

Correct answer: 1. Rigid bronchoscopy

Explanation: Ans. is 'a' i.e., Rigid bronchoscopy o Treatment of choice is removal of foreign body by rigid bronchoscope with appropriate antibiotics.